Most common cause of posterior staphyloma:
1. Trauma
2. Glaucoma
3. Myopia
4. Scleritis

Correct answer: 3. Myopia

Explanation: Ans. Myopia